Which of the following statements is true regarding thyroglobulin?
1. It is a specific marker for anaplastic carcinoma
2. Elevation after complete therapy suggests recurrence in well-differentiated thyroid malignancies
3. Preoperative elevation always suggests thyroidal disease
4. Intra op estimation from thyroid veins is very useful for prognosis

Correct answer: 2. Elevation after complete therapy suggests recurrence in well-differentiated thyroid malignancies